Glass blowers cataract is caused due to-
1. Wilson's Disease
2. Myotonic Dystrophy
3. Infrared radiation
4. Congenital Rubella

Correct answer: 3. Infrared radiation

Explanation: Glassblower's cataracts is formed by many years or decades of exposure to infrared radiation while working in the occupation lf glass blowing, or working close to hot or molten metals such with metal foundry workers or blacksmiths. Ref: Geddes, LA; Roeder, RA (2006). Handbook of Electrical Hazards and Accidents (2nd ed.). lawyers&Judges Publishing Company.p.465.